All of the following statements about 'yaws' are true, except:
1. Caused by Treponema paeunae
2. Transmitted non venerally
3. Secondary yaws can involve bone
4. Late stages of yaws involve heart and nerves

Correct answer: 4. Late stages of yaws involve heart and nerves

Explanation: Late Yaws is characterized by destructive and deforming lesions of skin, periosteum and bone. The late cardiac and cerebral manifestations of venereal syphilis, which is often severe, does not occur in yaws. Ref: Preventive and Social Medicine, by K.Park, 19th edition, Page 283, 284